Thromboxane A2 synthetase inhibition is by -
1. Aspirin
2. Prednisolone
3. Dazoxiben
4. Naproxen

Correct answer: 3. Dazoxiben

Explanation: Ans. is 'c' i.e., Dazoxiben o All the given drugs can inhibit Thromboxane A synthesis but only Dazoxiben can inhibit Thromboxane A 2synthetase. Note : According to KDT, aspirin also inhibits TX-synthatase also, but no other book (Goodman & Gilman, Katzung, Laurence, Satoskar) has mentioned this. Also know : Daltroban and sultroban are TXA2 receptor antagonists.